In cholesterol synthesis, which is rate limiting amino acid
1. HMG CoA reductase
2. HMG CoA synthetase
3. 7 alpha hydroxylase
4. Phosphofructokinase

Correct answer: 1. HMG CoA reductase

Explanation: Ans. is 'a' i.e. HMG CoA reductase In cholesterol synthesis this step-HMG CoA - Mevalonate is the rate limiting step and HMG-CoA reductase is the rate limiting enzyme.HMG CoA synthetase is the rate limiting enzyme for ketone bodies synthesis* 7 alpha hydroxylase is for - Bile acid synthesis* Phosphofructokinase is for - Glycolysis*